Investigation of choice forF'acute appendicitis in children:
1. CT scan
2. Ultrasound
3. MRI
4. X-ray

Correct answer: 2. Ultrasound

Explanation: Ans. b. Ultrasound